Sabaroud's medium is used for -
1. Protozal parasites
2. Nematodes
3. Fungi
4. Anaerobes

Correct answer: 3. Fungi

Explanation: Ans. is 'c' i.e., Fungi o Explained